The primary visual area is located in the walls of
1. Parieto-occipital sulcus
2. Superior temporal sulcus
3. Posterior part of calcarine sulcus
4. Central sulcus

Correct answer: 3. Posterior part of calcarine sulcus

Explanation: Optic radiations from the LGB pass through the internal capsule geniculo-calcarine tract to the primary visual area, also known as visuosensory area (area 17). It is the highest area for the perception of visual sense. It is located on the medial surface of the occipital lobe, above and below the calcarine fissure.Ref: Textbook of physiology, Dir. Prof. AK Jain, 5th edition.